Massive splenomegaly is seen in all of the following conditions, Except:
1. Hairy cell leukemia
2. Myelofibrosis
3. CML
4. Hepatic vein obstruction

Correct answer: 4. Hepatic vein obstruction

Explanation: Hepatic vein obstruction is associated with splenomegaly but not massive splenomegaly. Causes of massive splenomegaly: Chronic myeloid leukemia Lymphomas Hairy cell leukemia Myelofibrosis with myeloid Metaplasia Polycythemia vera Gaucher's disease Chronic lymphocytic leukemia Sarcoidosis Autoimmune hemolytic anemia Diffuse splenic hemangiomatosis Ref: Henry P.H., Longo D.L. (2012). Chapter 59. Enlargement of Lymph Nodes and Spleen. In D.L. Longo, A.S. Fauci, D.L. Kasper, S.L. Hauser, J.L. Jameson, J. Loscalzo (Eds), Harrison's Principles of Internal Medicine, 18e.